ApoB 48 & ApoB 100 is synthesized from them RNA; the difference between them is due to:
1. RNA splicing
2. Allelic exclusion
3. Deamination of cytidine to uridine
4. Upstream repression

Correct answer: 3. Deamination of cytidine to uridine

Explanation: Ans. C. Deamination of cytidine to uridine(Ref: Harper 31/e page 390)An example is the apolipoprotein B (apoB) gene and mRNA.In the liver, the single apo B gene is transcribed into an mRNA that directs the synthesis of apo B100.In the intestine, the same gene directs the synthesis of the primary transcriptA cytidine deaminase converts a CAA codon in them RNA to UAA at a single specific siteRather than encoding glutamine, this codon becomes a termination signal apo B48 is the result.